Clinical feature of Bronchiestasis are all except
1. Hemoptysis
2. Night sweats
3. Chest pain
4. Productive cough

Correct answer: 2. Night sweats

Explanation: Bronchiectasis is characterised by chronic,persistent productive cough with copious,continuously purulent sputum.Pleuritic pain is produced when infection spreads to involve pleura,or with segmental collapse due to retained secretions.There will be hemoptysis which can be mild,moderate or massive.General debility and halitosis are also present in bronchiectasis. Ref:Davidson's medicine-22nd edition,page no:679.